Disc oedema is seen in:
1. CRVO
2. CRAO
3. BRVO
4. BRAO

Correct answer: 1. CRVO

Explanation: Ans. (a) CRVORef: Parson's 22/e, p. 350Swollen optic disc or disc oedema - causesUnilateralPapillitis or optic neuritis involving the nerve head (sudden loss of vision with subsequent improvement young age)Anterior ischaemic optic neuropathy (sudden loss of vision usually without improvement old age)Orbital tumours (slowly progressive visual loss)Papillophlebitis or optic disc vasculitis (rapid loss of vision without improvement)Central retinal vein occlusionQ (may or may not be associated with profound visual impairment)Infiltrative disorders (impaired vision)Ocular hypotony (rapid loss of vision without improvement)Foster-Kennedy syndrome (true papilloedema in one eye with optic atrophy in the fellow eye)Pseudo Foster-Kennedy syndromePosterior uveitis and scleritisBilateralIncreased intracranial pressure: papilloedema (optic nerve function is typically normal)Hypertension (optic nerve function is typically normal)Diabetic papillopathy (mild-to-moderate impairment of vision)Cavernous sinus thrombosisCarotid-cavernous fistulaLeber hereditary optic neuropathy in the acute stageOther systemic diseases such as anaemia and hvpoxaemia